High resolution computed tomography of the chest is the ideal modality for evaluating-
1. Pleural effusion
2. Interstitial lung disease
3. Lung mass
4. Mediastinal adenopathy

Correct answer: 2. Interstitial lung disease

Explanation: HRCT Uses Bone Algorithm for sharpness of images. (1-3mm slices) IOC for Interstitial Lung Diseases Bronchiectasis CT Cisternography for CSF flow Fracture of Temporal Bone Interstitial Lung Disease ILD(HRCT) Usual Interstitial Pneumonia (UIP) Non-Specific IP (NSIP) Reticular opacities Subpleural Honeycombing Traction bronchiectasis Ground Glass Opacities Subpleural Sparing